Localised shrinkage porosity is seen when there is
1. Thin sprue
2. Investment heated strongly
3. Inadequate air discharge
4. Low casting pressure

Correct answer: 1. Thin sprue